The blood vessel related to the paraduodenal fossa is -
1. Gonadal vein
2. Superior mesenteric artery
3. Portal vein
4. Inferior mesenteric vein

Correct answer: 4. Inferior mesenteric vein